National deworming day is on
1. 10th Feb
2. 5th March
3. 22nd Feb
4. 12th November

Correct answer: 1. 10th Feb